In Munsell scale, chroma is measured:
1. Along cirumference.
2. Along vertical axis.
3. Radially.
4. Along horizontal axis

Correct answer: 3. Radially.